Intra-tumoral calcification in the brain is seen in all except?
1. Craniopharyngioma
2. Meningioma
3. Oligodendroglioma
4. Hemangioblastoma

Correct answer: 4. Hemangioblastoma

Explanation: Intratumoral calcification develops in the slow-growing tumors like Craniopharyngioma Meningioma Oligodendroglioma -Hemangioblastoma is a highly vascular tumor.